Most common type of urinary fistula is :
1. Uterovaginal
2. Vesicovaginal
3. Urethrovaginal
4. None of the above

Correct answer: 2. Vesicovaginal

Explanation: Vesicovaginal